Among the following who was the personal pshysician of Gautam Buddha
1. Susthruta
2. Charak
3. Jeevaka
4. Nagarjuna

Correct answer: 3. Jeevaka

Explanation: Jeevaka, the legendary physician and surgeon, figures in the Buddhist literature and is immortalized because of the traditional account that he treated Lord Buddha and became his disciple. He also donated an ARAMA or resting place for the Buddhist monks. This came to be known as Jeevakarama which existed for centuries.